What is the sequence of development of puberty in girls ?
1. Thelarche, Pubarche, linear growth spurt, Menarche,
2. Pubarche, Thelarche, Menarche, linear growth spurt
3. Pubarche, Menarche, Thelarche, linear growth spurt
4. Menarche, Thelarche, Pubarche, linear growth spurt

Correct answer: 1. Thelarche, Pubarche, linear growth spurt, Menarche,

Explanation: The sequence of SPECIFIC events of Pubertal events in girls is thelarche, pubarche, linear growth spurt, menarche. Please note: This is not to confuse with accelarated general physical growth which is the first event in puberty Puberty Specific events in girls Events in boys 1st Thelarche Testicular enlargement 2nd Pubarche Penile enlargement & pubic hairs 3rd Linear Growth,Height, spurt Linear Growth spurt 4th Menarche Axillary hair and facial hairs In girls, pubertal development typically takes place over 4.5 years. The first sign of puberty is accelerated growth, and breast budding is usually the first recognized pubertal change, followed by the appearance of pubic hair, peakgrowth velocity, and menarche.... Novaks Gyne